Uremia is not associated with hypertension in which of the following situations?
1. Renal polyarteritis nodosa
2. Narrowing of the renal artery
3. Renal amyloidosis
4. Hyperplastic arteriolar nephrosclerosis

Correct answer: 3. Renal amyloidosis

Explanation: Option A: Polyarteritis Nodosa- Renal Artery aneurysm | Decrease Blood supply to kidney | | GFR | Stimulate RAAS: | Renin (High Renin HTN) Option B: Narrow Renal artery- | Blood supply to kidney | | GFR- stimulate RAAS= | Renal HTN Option C: Renal Amyloidosis- B/L Enlarged Kidneys & present With Nephrotic range proteinuria without |BP. Option D: Hyperplastic Arteriolar Nephrosclerosis- Again | GFR = stimulate RAAS= | Renal HTN